Toxic effects of high oxygen tension include all of the following, EXCEPT:
1. Pulmonary edema
2. Decreased cerebral blood flow
3. Retinal damage
4. CNS excitation and convulsion

Correct answer: 2. Decreased cerebral blood flow

Explanation: The High oxygen tension in inspired air produces cerebral vasoconstriction and reduces cerebral blood flow, thereby protecting the brain from the dangers of oxygen toxicity. Hence in this case, decreased cerebral blood flow is a protective mechanism and not a toxic effect of oxygen. Ref: Concise Medical Physiology By Chaudhuri, 5th Edition, Page 228; Goodman and Gilman's Manual of Pharmacology and Therapeutics, 11th Edition, Pages 393-94; Guyton and Hall Medical Physiology, 11th Edition, Page 547